Which muscle is intorter of eye -
1. Inferior oblique
2. Inferior rectus
3. Superior rectus
4. Medial rectus

Correct answer: 3. Superior rectus

Explanation: The action of extraocular muscles can be summarized as follows -


All the recti muscles are adductor except lateral rectus which is abductor.
Both oblique muscles are abductors
Both the superior muscles (superior oblique and superior rectus) are intortors.
Both the inferior muscles (Inferior oblique and inferior rectus) are extorters.